Anterior horn of lateral ventricle is closed anteriorly by
1. Thalamus
2. Corpus callosum
3. Lamina terminalis
4. Septum pellucidum

Correct answer: 2. Corpus callosum

Explanation: Anterior horn of lateral ventricle is closed anteriorly by Genu and Rostrum of corpus callosum